Which of the following is the investigation of choice for interstitial lung disease:
1. HRCT
2. Bronchoscopy
3. MRI
4. Spirometry

Correct answer: 1. HRCT

Explanation: Ans. A: HRCT HRCT has become the critical first step in the investigation of DPLD (diffuse parenchymal lung disease), indicating the diagnosis or directing further investigation High resolution CT (HRCT) uses thin sections to provide detailed images of the pulmonary parenchyma and is particularly useful in assessing diffuse parenchymal lung disease, identifying bronchiectasis, and assessing the type and extent of emphysema More about CT scan: Invented by Hounsfield Hounsfield number: Depends upon mass density CT scan chamber/ room are shielded by: Lead At least 1/16 inch lead shielding pr equivalent is required for the walls , doors, floors, ceilings, and operators barrier Value of water in CT: Zero Highest density on CT is shown by: Bone Investigation of choice: Bladder rupture: Cystogram Splenic rupture: CT scan Acute cholecytitis: HIDA scan Acute pancreatitis: Contrast CT scan Minimal ascites: USG Minimal intraperitoneal air: CT scan Bronchiectasis: HRCT Cerebral blood flow in an asphyxiated child: Near infra red spectroscopy (NIRS) Recurrent gastrointestinal stromal tumour: PET CT scan Avascular necrosis: MRI Detection and characterization of interstitial lung disease: High resolution CT scan Osteoporosis: Dual Energy X-ray absorptiometry Early renal TB: Intravenous urography (most sensitive) Extra-adrenal Phaeochromocytoma: MRI (most sensitive) Solitary pulmonary nodule: CT scan Neuro-endocrinal tumours (NET): Radionuclide scan Para-meningeal rhabdomyosarcoma: MRI Ductal Carcinoma In Situ of breast: MRI